Zoster recurrance occur after infection with?
1. HSV 1
2. HSV 2
3. Varicella
4. Small pox

Correct answer: 3. Varicella

Explanation: Ans. is 'c' i.e., Varicella